Stocker's line is seen a  –
1. Pinguecula
2. Pterygium
3. Congenital Ocular Melanosis
4. Conjunctival epithelial melanosis

Correct answer: 2. Pterygium

Explanation: Stocker's line is a line of iron deposition in the corneal epithelium seen adjacent to the head of the pterygium.